Amoebae not found in human intestine:
1. E. histolytica
2. E. colt
3. E. nana
4. E. gingivalis

Correct answer: 4. E. gingivalis

Explanation: Ans. d. E. gingivalis